Which of the following metabolic reactions is not catalysed by microsomal enzymes?
1. Glucuronidation
2. Acetylation
3. Oxidation
4. Reduction

Correct answer: 2. Acetylation

Explanation: PHASE 1 * Oxidation * Reduction All are catalysed by microsomal enzymes PHASE 2 * Glucuronidation * Acetylation * Methylation All are catalyzed by non microsomal enzymes except glucuronidation which is catalysed by microsomal enzymes.